An 11-year-old male complains of blackening of teeth and his mother gives a history of frequent snacking on sweets and sugary beverages in between meals. Intra-oral examination reveals multiple carious teeth. How many radiographs would be required for full mouth survey of this patient?
1. 8
2. 10
3. 14
4. 18

Correct answer: 3. 14

Explanation: A complete examination of the mixed dentition,  if indicated, consists of two incisor periapical views, four canine periapical views, four posterior periapical views, and two or four posterior bitewing view.